Neonatal seizure carries best prognosis if the cause is –
1. Idiopathic
2. Hypocalcemia
3. Infection
4. Asphyxia

Correct answer: 2. Hypocalcemia

Explanation: Hypocalcaemia seizures carry good prognosis.
Idiopathic seizures have bad prognosis.